RGD Motifs does not include
1. Arginine
2. Alanine
3. Glycine
4. Aspartate

Correct answer: 2. Alanine

Explanation: Sequence of A.A. in RGD motifs is Arginine, Glycine and Aspartate.